In which of the following tumors alpha fetoprotein is elavated
1. Choriocarcinoma
2. Neuroblastoma
3. Hepatocellular carcinoma
4. Seminoma

Correct answer: 3. Hepatocellular carcinoma

Explanation: Alpha fetoprotein (AFP) is a normal component of plasma protein of the human foetus secreted by yolk sac and embryonal hepatocytes which reduces 2-3 weeks after birth and persists as a low value level. Normal value is up to 10 ng/ml of plasma.It is an important tumour marker for HCC and more often HCC with cirrhosis (between 100-1000 ng/ml). It also increases in hepatoblastoma, non-seminomatous testicular tumours and some ovarian tumours(yolk sac tumour ).It also increases slightly in benign conditions of the liver (only upto 100 ng/ml if at all). It is useful in diagnosing omphalocele, ataxia telengiectasia, neural tube defects. Reference : page 594 SRB's manual of surgery 5th edition